Targeted intervention for HIV is done for all except?
1. Commercial sex worker
2. Migrant laborers
3. Street children
4. Industrial worker

Correct answer: 4. Industrial worker

Explanation: Ans. is `d' i.e., Industrial worker Targeted interventiung o The basic purpose of the targeted intervention programme is to reduce the transmission of HIV amongst the most vulnerable population. o It combines a comprehensive and integrated approach to the vulnerable segment of population such as : ? o Sex workers o Migrant laborers o Homosexual men o Truckers o IV drug users u Street children